Which of the following vitamins can be used in high doses to treat hypercholesterolemia?
1. Niacin
2. Riboflavin
3. Pantothenic acid
4. Thiamine

Correct answer: 1. Niacin

Explanation: Niacin, nicotinic acid (pyridine-3-carboxylic acid), one of the oldest drugs used to treat dyslipidemia, favorably affects virtually all lipid parameters. The hypolipidemic effects of niacin require larger doses than are required for its vitamin effects. Niacin is the best agent available for increasing HDL-C (30-40%) It also lowers triglycerides by 35-45% (as effectively as fibrates and the more effective statins) and reduces LDL-C levels by 20-30%. Niacin also is the only lipid-lowering drug that reduces Lp(a) levels significantly. Despite its salutary effect on lipids, niacin has side effects that limit its use. Ref: Bersot T.P. (2011). Chapter 31. Drug Therapy for Hypercholesterolemia and Dyslipidemia. In L.L. Brunton, B.A. Chabner, B.C. Knollmann (Eds), Goodman & Gilman's The Pharmacological Basis of Therapeutics, 12e.